Chromosomal anomalies more than 20% is associated with –
1. Gastroschisis
2. Omphalocele
3. Spina Bifida
4. Cleft Palate

Correct answer: 2. Omphalocele

Explanation: Chromosomal abnormalities have been reported in as many as 43% fetuses with omphalocele. The most common being trisomy 13, 18, 21 and Turner syndrome.